Which one of the following acids is generally recommended for etching tooth structure?
1. Maleic acid
2. Polyacrylic acid
3. Phosphoric acid
4. Tartaric acid

Correct answer: 3. Phosphoric acid

Explanation: Although some of the self-etch bonding systems use milder acid, the primary acid system used for etching tooth structure is phosphoric acid.